Which of the following is a chemoreceptor?
1. Osmoreceptors
2. Rods & cones
3. Hair cells
4. Merkel's disc

Correct answer: 1. Osmoreceptors

Explanation: Ans. is'a'i.e. OsmoreceptorsChemoreceptors are:-Taste buds (gustatory receptors) - OsmoreceptorsOlfactory receptors - Glucoreceptors